Hurthle cells are seen in?
1. Medullary carcinoma thyroid
2. Papillary carcinoma thyroid
3. Hashimoto's thyroiditis
4. Pituitary adenoma

Correct answer: 3. Hashimoto's thyroiditis

Explanation: Ans. is 'c' i.e. Hashimoto's thyroiditis * Hurthle cells are large epithelial cells with abundant pink cytoplasm.* They are found in follicular adenoma, follicular carcinoma and Hashimoto's thyroiditis.